The correlation between IMR and Socio Economic status is best dipicted by-
1. Correlation (+1)
2. Correlation (+0.5)
3. Correlation (+2)
4. Correlation (-0.8)

Correct answer: 4. Correlation (-0.8)

Explanation: Ref:Parks 23rd edition pg 852 In order to find out whether there is significant association or not between the two variables , coefficient or Corelation is calculated . r lies between -1 and +1 r near -1 : indicates strong negative correlation . r = 0 : indicates no association r near +1: indicates strong positive correlation. Note: correlation does not necessarily prove causation .